Which of the follow ing type of inquest is carried out in case of dowry death?
1. Magistrate's inquest
2. Police inquest
3. No inquest required
4. Collectors inquest

Correct answer: 1. Magistrate's inquest

Explanation: Ans. is 'a' i.e., Magistrate's inquest o Magistrate's inquest is done under sec 176 CrPC is case ofDeath in prison, reformatories, Borstal school.Death in police costody while under police interrogation.Death due to police firing.Dowry death; i.e. death of a married female less than 30 years of age or death within 7 years of marriage.Exhumation.Death in psychiatry hospital.Custodial rape.o Police inquest is done in cases ofDeath by suicide.Death by killing by another person (murder ) or an animal or machinery.Death by accident.Death under circumstances raising a reasonable suscpicion that some other person has commited an offence.